A diagnosis of fungal corneal ulcer is not made if there is presence of
1. Marked photophobia and pain compared to signs
2. Sloughing corneal ulcer
3. Fixed hypopyon
4. Presence of hyphae on KOH mount

Correct answer: 1. Marked photophobia and pain compared to signs

Explanation: Symptoms of fungal corneal ulcer are similar to central bacterial corneal ulcer , but in general, they are less marked than the equal-sized bacterial ulcer and the overall course is slow and torpid. Signs are more prominent than symptoms. Corneal ulcer is greyish white, dry-looking with elevated rolled out margins. Delicate feathery finger-like extensions are present into the surrounding strorna under the intact epitheliium. Hypopyon usually a big one is present even if the ulcer is very small. Unlike bacterial ulcer, the hypopyon not sterile as the fungi can penetrate into the anterior chamber without perforation.